A newborn has cyanosis in the first week of life. The mother has history of Diabetes. Chest x ray was done which revealed : On further evaluation and investigation, the presumptive diagnosis is made. You feel that the symptoms newborn experiencing is due to inappropriate circulation of oxygenated and deoxygenated blood between the body heart and lungs Survival in the neonatal period is provided in such cases by the foramen ovale and the ductus arteriosus, which permit some mixture of oxygenated and deoxygenated blood. What is the diagnosis and the defect, respectively in above clinical scenario ?
1. TAPVC, abnormal cardiac looping
2. PAPVC , abnormal cardiac looping
3. VSD, defective interventricular septation
4. TGA, straight conotruncal septa.

Correct answer: 4. TGA, straight conotruncal septa.

Explanation: Chest x ray reveals SNOWMAN appearance, seen in TAPVC. Transposition of the great vessels occurs when the conotruncal septum doesn't follow its normal spiral course and instead goes straight down. As a consequence, the aorta originates from the right ventricle, and the pulmonary artery originates from the left ventricle.